IOL preferred in children in:
1. Foldable acrylic lens
2. Foldable silicon lens
3. Three piece PMMA lens
4. Single piece PMMA lens

Correct answer: 1. Foldable acrylic lens

Explanation: Ans. Foldable acrylic lens